Jeeps disease is known as
1. Hemorvhoids
2. Fissure in ano
3. Fistula in ano
4. Pilonidal sinus

Correct answer: 4. Pilonidal sinus

Explanation: Pilonidal sinus is seen in drivers mainly hairy jeep drivers in military.